The nerve supply of Middle ear is from
1. Superior auricular nerve
2. Tympanic branch of glossopharyngeal nerve
3. Pharyngeal branch of glossopharyngeal nerve
4. Great auricular nerve

Correct answer: 2. Tympanic branch of glossopharyngeal nerve

Explanation: (B) Tympanic branch of glossopharyngeal nerve# Sensory nerve supply of middle ear cavity is provided by Glossopharyngeal nerve.> Tympanic Plexus It lies on the promontory and is formed by tympanic branch of glossopharyngeal and sympathetic fibres from the plexus round the internal carotid artery.> Tympanic plexus supplies innervation to the medial surface of the tympanic membrane, tympanic cavity, mastoid air cells and the bony eustachian tube.> It also carries secretomotor fibres for the parotid gland. Section of tympanic branch of glossopharyngeal nerve can be carried out in the middle ear in Frey syndrome.> The tympanic cavity contains the tympanic plexus and the facial nerve. Branches from the plexus and the facial nerve supply structures within the tympanic cavity but also leave the cavity to supply structures on the face. The nerves that constitute the tympanic plexus ramify on the surface of the promontory on the medial wall of the tympanic cavity They are derived from the tympanic branch of the glossopharyngeal nerve and the caroticotympanic nerves. The former arises from the inferior ganglion of the glossopharyngeal nerve, and reaches the tympanic cavity via the tympanic canaliculus for the tympanic nerve. The superior and inferior caroticotympanic nerves are postganglionic sympathetic fibres which are derived from the carotid sympathetic plexus and traverse the wall of the carotid canal to join the plexus.